A 40-year-old man develops erythema nodosum, conjunctivitis, and a pleural effusion. Over several weeks, pulmonary lesions lead to cavitation and a large, thin-walled cavity. He was traveling in Arizona before becoming ill. Sputum samples reveal mature spherules. Which of the following is the most likely diagnosis?
1. Streptococcus
2. coccidioidomycosis
3. candidiasis
4. Staphylococcus

Correct answer: 2. coccidioidomycosis

Explanation: Coccidioidomycosis may present with a syndrome of erythema nodosum, fever, and conjunctivitis. Serious complications include cavitating lung lesions or meningitis.